Aspirin inhibits which of the following enzymes ?
1. Lipoprotein lipase
2. Lipoxygenase
3. Cyclooxygenase
4. Phospholipase D

Correct answer: 3. Cyclooxygenase